True about hematological disorder?
1. In Hemophilia B cryoprecipitate is useful
2. Both PT and aPTT are increased in DIC
3. Desmopressin has no role in vWD
4. Hemorrhagic disease of newborn is due to vit C deficiency

Correct answer: 2. Both PT and aPTT are increased in DIC

Explanation: Discussing options one by one: - Option 1- FALSE-Cryoprecipitate don't contain factor-IX. Hence not useful for treating hemophilia B - Option 2- TRUE - PT, aPTT, D-dimer levels are raised in DIC - Option 3- FALSE- Desmopressin is useful in the treatment of type-1 von Willebrand disease - Option 4- FALSE-Hemorrhagic disease of newborn is due to vit K deficiency